Serum lactate dehydrogenase (LDH) increased with normal alpha fetoprotein (AFP) is seen with:
1. Dysgerminoma
2. Yolk sac tumor
3. Brenner's
4. Mucinous cystodenocarcinoma

Correct answer: 1. Dysgerminoma

Explanation: ANS. A# Histology slides of gynecological malignanciesGranulosa cell tumor (coffee bean nuclei)Yolk sac tumorKrukenberg tumor (spindle cells)